Transamination reaction requires which vitamin?
1. Thiamine
2. Pyridoxin
3. Riboflavin
4. Pentothenic acid

Correct answer: 2. Pyridoxin

Explanation: Pyridoxal phosphate (active form of vitamin B6) is the coenzyme for transamination reactions.